Most common complication due to expectant management of preeclampsia is
1. Acute renal failure
2. Pulmonary edema
3. Cardiac arrest
4. Placental abruption

Correct answer: 4. Placental abruption

Explanation: The most common complication is placental abruption.While the most common cause of death is the cerebrovascular hemorrhage.